Dose of Rabies immunoglobulin is
1. 10 IU/Kg body weight
2. 15 IU/kg body weight
3. 20 IU/kg body weight
4. 25 IU/kg body weight

Correct answer: 3. 20 IU/kg body weight

Explanation: The anti-rabies serum is given in class III bites (Single or multiple transdermal bites or scratches, licks on broken skin, Contamination of mucous membranes with sal, exposure to bats)It is found to prolong the incubation period.Passive immunization in rabies may be given by :Horse Anti-rabies serum: 40 IU/kg body wt (up to max 3000 units), infiltrated in the wound, & the rest gave IMHuman Rabies Immunoglobulin: (preferred) 20 IU/kg body wt infiltrated in the wound, & the rest given i.m.